Parakeratosis is defined as?
1. Retained nuclei in stratum corneal cells
2. Elongation of rete ridges
3. Increased number of cells in stratum spinosum
4. Increased thickness of corneal layer

Correct answer: 1. Retained nuclei in stratum corneal cells

Explanation: ANSWER: (A) Retained nuclei in stratum corneal cellsREF: IADVL text book of dermatology 3rd e p. 91Some terminology related to dermatohistopathologyHyperkeratosisThickening of startum comeumHypergranulosisThickening of stratum granulosumParakeratosisRetention of nuclei in stratum comeumPapillomatosisPapillary dermal hyperplasiaSpongiosisIntercellular edema in stratum soinosumAcanthosisThickening of Spinous layerAcantholysisSeparation of keratinocytes after application of pressure